Which of the following is not used as an emergency contraceptive?
1. Oral LNG
2. LNG- Intrauterine device
3. CuT-Intrauterine device
4. Oral Mifepristone

Correct answer: 2. LNG- Intrauterine device